Schwable's ring is seen in which layer of cornea-
1. Bowmann's membrane
2. Stroma
3. Descemet's membrane
4. Substantiapropria

Correct answer: 3. Descemet's membrane

Explanation: Ans. is 'c' i.e., Descemet's membraneHistology of corneao The cornea has five distinct layers (from superficial to deep): -Epithelium : - It is the outermost part of cornea and is composed of stratified squamous non-keratinized epithelial cells.Bowman's membrane: - It is not a true membrane but simply a condensed superficial part of stroma, destroyed, it does not regenerate.Stroma (Substantia propria): - This layer constitutes most of the cornea (90% of thickness). It consists of collagen fibrils (lamellae) embedded in hydrated matrix of proteoglycans.Descemet's membrane : - This layer bounds the stroma posteriorly. In the periphery it appears to end at the anterior limit of trabecular meshwork as Schwable fs ring.Endothelium : - It is a single layer of flat polygnonal cells. The endothelial cells contain 'active-pump' mechanism and is the most important layer in maintaining the transparency of cornea.